The percentage of people examined showing microfilaria in blood and or disease manifestation is known as
1. Microfilaria rate
2. Microfilaria detection rate
3. Annual infection rate
4. Filaria endemicity rate

Correct answer: 4. Filaria endemicity rate

Explanation: Filarial endemicity rate: It is the percentage of persons examined showing microfilariae in their blood, or disease manifestation or both.Microfilaria rate: It is the percentage of persons showing microfilariae in their peripheral blood in the sample population. Microfilarial density: It is the number of microfilaria per unit volume(20 cu mm) of blood. Indicates intensity of infection.Average infestation rate: It is the average number of microfilaria per positive slide, each being made from 20 cu mm of blood. It indicates the prevalence of microfilaraemia in the population.Park 23e pg: 274